Bankart's lesion is seen at
1. Post surface of glenoid labrum
2. Ant surface of glenoid labrum
3. Ant part of head of humerus
4. Post part of head of humerus

Correct answer: 2. Ant surface of glenoid labrum

Explanation: Ans. is 'b' i.e Ant. Surface of glenoid labrum In anterior dislocation of shoulder following pathological changes are seen*.Bankart's lesion :Ant. Dislocation causes stripping of the glenoid labrum along with the periosteum from the anterior surface of the glenoid and scapular neck.The head thus comes to lie in front of the scapular neck, in the pouch thereby created.Hill Sach's lesion :This is a depression on the humeral head in its postero-lateral quadrant*. Caused by impingement by the interior edge of the glenoid on the head as it dislocates.Roundening of the anterior glenoid rim occurs as the head dislocated over it.There may be associated fractures of the greater tuberosity of the humerus or of the rim of the glenoid.